The appliance used for uprighting of molar is
1. Inclined plane
2. Removable appliance with long labial bow
3. Fixed appliance with auxiliary spring
4. Separating spring

Correct answer: 3. Fixed appliance with auxiliary spring

Explanation: A partial fixed appliance to upright tipped molars consists of bonded brackets on the premolars and canine in that quadrant and either a bonded rectangular tube on the molar or a molar band.
If the molar is severely tipped, a continuous wire that uprights the molar will have side effects (which almost always are undesirable) on the position and inclination of the second premolar. For that reason it is better to carry out the bulk of the uprighting by using an auxiliary uprighting spring.